Drug of choice for pneumocystis carinii ?
1. Cotrimoxazole
2. Erythromycin
3. Penicillin
4. Metronidazole

Correct answer: 1. Cotrimoxazole

Explanation: Ans. is 'a' i.e., Cotrimoxazole